At a constant blood flow, an increase in the number of perfused capillaries improves the exchange between blood and tissue because of
1. Greater surface area for the diffusion of molecules
2. Faster flow velocity of plasma and red blood cells in capillaries
3. Increased permeability of the microvasculature
4. Decreased concentration of chemicals in the capillary blood

Correct answer: 1. Greater surface area for the diffusion of molecules